Which of the following carnival nerve does not contain parasympathetic motor (GVE) fibres
1. III
2. VI
3. IX
4. X

Correct answer: 2. VI

Explanation: Parasympathetic system is craniosacral in outflow. Carnial part involves III(oculomotor),VII(facial),IX (glossopharyngeal) and X(vagus) nerves whereas sacral portion includes S2 to S4 Ref-KDT 6/e p89